Investigation of choice for perthe's disease
1. TC 99 scan
2. MRI
3. CT Scan
4. X-ray

Correct answer: 2. MRI